In syringomyelia the sensation that is lost is:
1. Touch
2. Pressure
3. Pain and temporature
4. Two point descrimination

Correct answer: 3. Pain and temporature

Explanation: Ans: cRef: Harrison, 16thed, p. 2445